Village Health Guide measures the state of malnutrition in an under 5 child by using -
1. Mid arm circumference
2. Weight for age
3. Skin fold thickness
4. Height for age

Correct answer: 1. Mid arm circumference

Explanation: Ans. is 'a' i.e., Mid Arm Circumference o Midarm circumference is an age independent, easy, measure of the state of malnutrition, for children between the age group of 1-5 years.o A circumference less than 12[?]5 cm is suggestive of moderate to severe malnutrition.o The use of Shakir's Tape has further simplified assessment of midarm circumference at the village level. This tape has shading in the three different colours, which indicate different levels nutrition ;o (M.A.C = Mid arm circumference)Red shading signifies M.A.C <12-5 and is an index of malnutritionYellow shading signifies M.A.C = 12-5 to 13-5 and sets forth a warningGreen shading signifies M.A.C >13-5 and is indicative of adequate nutrition.